Preferred time forprophylacticantibiotic administration for surgery?
1. 1 day befor surgery
2. I.M. 6 hrs before surgery
3. At the time of induction of anaesthesia
4. I.V. during surgery

Correct answer: 3. At the time of induction of anaesthesia

Explanation: Ans is C i.e. At the time of induction of anaesthesia "The appropriate antibiotic is chosen before surgery and administered before the skin incision is made."-Sabiston 18/e